Waddling gait due to:
1. Bilateral congenital dysplasia of hip
2. Coxa valga
3. CTEV
4. Bilateral coxa valgum

Correct answer: 1. Bilateral congenital dysplasia of hip

Explanation: Ans. A: Bilateral congenital dysplasia of hip A waddling gait is the style of walking that is seen in a patient with proximal myopathy. It is characterised by: A broad-based gait with a duck-like waddle to the swing phase The pelvis drops to the side of the leg being raised Forward curvature of the lumbar spine Marked body swing This gait may be seen in patients with bilateral congenital hip dislocation and pregnancy.